All of the following are features of mumps except _______
1. Caused by paramyxovirus
2. Aseptic meningitis is a complication
3. Orchitis is a complication in adults
4. Incubation period is less than 2 weeks

Correct answer: 4. Incubation period is less than 2 weeks

Explanation: *Mumps is an acute viral infection characterised by painful enlargement of the salivary glands,most commonly the parotid glands.It is caused by an RNA virus of the genus paramyxovirus in the family paramyxoviridae. *It follows an incubation period of 2-4 weeks. Complications include epididymoorchitis in adolescent boys or postpubertal men.Aseptic meningitis is seen in 1-10% patients with parotitis.The risk of encephalitis is between 0.02-0.3% cases.Other neurological manifestations include deafness,cerebellar ataxia,facial neuritis,transverse myelitis and guillain barre syndrome. Reference: Essential pediatrics,op ghai, 9 edition,pg no: 213